True about TB Knee
1. Synovial fluid shows reduced mucin
2. Internal rotation of Tibia
3. Synovial fluid shows reduced leucocyte count
4. Leads to Bony ankylosis

Correct answer: 1. Synovial fluid shows reduced mucin